Main period of communicability of whooping cough?
1. Incubation period
2. Paroxysmal stage
3. Catarrhal stage
4. Convalescent stage

Correct answer: 3. Catarrhal stage

Explanation: Ans. is 'c' i.e.,Catarrhal stage Pertussis, also called '100 day cough', is caused by Bordetella pertussis (only 5% cases are caused by B. parapertussis).there is no cross immunity between B. pertussis and B. parapertussis.Period of infectivity (communicability) extends from a week after exposuse to about 3 weeks after the onset of paroxysmal stage. Catarrhal stage is most infective. Secondary attack rate is high, i.e. 90%.